Silicoflouoride is used in:
1. Dry feeder system.
2. Saturator system.
3. Solution feeder system.
4. All of the above.

Correct answer: 1. Dry feeder system.